Dead layer of epidermis ?
1. Stratum basale
2. Straum spinosum
3. Stratum corneum
4. Stratum granulosum

Correct answer: 3. Stratum corneum

Explanation: Ans. is 'c' i.e., Stratum corneum Stratum basale, stratum spinosum and stratum granulosum, together form the living layer and constitute the site of synthesis of keratin (Keratin is mostly synthesized in stratum spinosum). Stratum corneum is the dead layer. Layers of epidermis (From deep to superficial) In palm & sole (5 layers). Elsewhere (4 layers) Stratum basale Stratum basale Stratum spinosum Stratum spinosum Stratum granulosum iv)Stratum lucidum Stratum granulosum Stratum corneum Stratum corneum